Which of the following is not a dimorphic fungi
1. Histoplasma Capsulatum
2. Sporothrix schenckii
3. Pencillium marnefeii
4. Pneumocystis Jiroveci

Correct answer: 4. Pneumocystis Jiroveci

Explanation: Dimorphic fungi

H - Hitoplasma
S - Sporothrix
B - Blastomyces
C - Coccidiodes
P - Paracocciodes
P - penicillium